Under resting conditions, predominant ion in saliva is:
1. Sodium
2. Hydrogen
3. Chloride
4. Bicarbonate

Correct answer: 4. Bicarbonate

Explanation: Bicarbonate